Lepromin test is positive in which leprosy
1. Lepromatous
2. Indeterminate
3. Histoid
4. Tuberculoid

Correct answer: 4. Tuberculoid

Explanation: D i.e. Tuberculoid